Multifocal tumor of vascular origin in a patient of AIDS -
1. Kaposi sarcoma
2. Astrocytoma
3. Gastric Carcinoma
4. Primary CNS lymphoma

Correct answer: 1. Kaposi sarcoma

Explanation: Ans. is 'a' i.e., Kaposi sarcoma Neoplastic disease in AIDS . Kaposi sarcoma (most common tumor) . Non Hodgkin lymphoma - Immunoblastic lymphoma (most common lymphoma) - Primary CNS lymphoma (associated with EBV) - Burkitt's lymphoma . Other less common neoplasm are - Hodgkin's disease - Leukemia - Cervical Ca - Brain tumor - Testicular Ca - Multiple myeloma - Melanoma - Lung Ca - Anal Ca - Oral Ca